Mrs AR G3 P1LIA a full term pregnant female is admitted in labor. On examination, she has uterine contractions 2 in 10 minutes, lasting for 30-35 seconds.On P/A examination 3/5th of the head is palpable per abdomen.On P/V examination-cervix is 4 cms dilated, membranes intact.On repeat examination 4 hours later, cervix is 5 cms dilated, station is unchanged, and cervicograph remains to the right of the alert line. Which of the following statements is true?
1. The head was engaged at the time a of presentation
2. Her cervicographical progress is satisfactory
3. Her cervicographical status suggests intervention
4. On repeat examination, her cervicograph should have touched the action line.

Correct answer: 3. Her cervicographical status suggests intervention

Explanation: In this patient at the beginning of the labor, three fifths of the head was palpable , which indicates head is not engaged as head is said to be engaged only if 1/5th is palpable per abdomen…